Failure rate of Pomeroy's technique is
1. 0.1-0.5%
2. 0.5-1%
3. 1-2%
4. 5-10%

Correct answer: 1. 0.1-0.5%

Explanation: Pomeroy method The most popular technique of tubal ligation is the Pomeroy operation. The fallopian tube is identified on each side, brought out through the incision, and the middle portion is formed into a loop which is tied at the base with catgut and excised. Thefailurerateis only0.4% and it is mainly due to spontaneous canalization. The operation is simple, requires short hospitalization, does not require sophisticated and expensive equipment like a laparoscope, and can be performed in primary health centre by a doctor trained in this procedure. It is surgically reversible. Ref: Shaw textbook of gynecology 16th edition Pgno : 282